Most common Molluscum virus:
1. 1
2. 2
3. 3
4. 4

Correct answer: 1. 1

Explanation: Ans. a. 1